Amniotic constriction bands lead to which of the fetal anomaly -
1. Congenital limb amputation
2. Syndactyly
3. Club foot
4. All of the above

Correct answer: 4. All of the above

Explanation: Ans. is 'd ' i.e., All the above Amniotic band syndrome (Constriction band syndrome):o Amniotic band constriction (also known as "amniotic band syndrome", "ADAM complex", "Amniotic band sequence", "Congenital constriction bands" and "Pseudoainhum") is a congenital disorder caused by entrapment of fetal parts (usually a limb or digits) in fibrous amniotic bands while in utero.Following is associated with amniotic band syndrome:o Congenital limb amputationo Syndactylyo Craniofacial defects: cleft lip, palateo Visceral defects: gastroschisis and omphalocoele.